Achalasia cardia presents with all EXCEPT:
1. Increased lower esophalgus sphincter tone
2. Normal peristalsis
3. Dilatation proximally
4. Malignancy

Correct answer: 2. Normal peristalsis

Explanation: Ans. (b) Normal peristalsisRef: Bailey & Love 26th ed. Ch. 62 /1014* Achalasia is a rare disease caused by loss of inhibitory ganglion cells within the esophageal myenteric plexus* It leads to a hypertensive lower oesophageal sphincter (LOS) which fails to relax on swallowing, and by aperistalsis of the body of the oesophagus.* Long-standing achalasia is characterized by progressive dilatation and sigmoid deformity of the esophagus with hypertrophy of the LES.Clinical Presentation* Progressive dysphagia is the most common presenting symptom. It generally concerns initially liquids and later both liquids and solids from the outset.# Dysphagia: Liquids > Solid* The second most common symptom is the regurgitation of undigested food during or shortly after a meal.Investigation* Screening: Barium study- Bird beak appearance* IOC: ManometryTreatment* Medical management:# Calcium channel blockers# Nitrates# Botulinum toxin (injected into the LES under endoscopic guidance)* Surgical management:# Harrison states: "The only durable therapies for achalasia are pneumatic dilatation and Heller myotomy"# Surgery of choice: Heller's myotomy